Which of the following is false about Wilson's disease
1. Increased urine copper levels
2. KF rings always present
3. Autosomal recessive
4. ATP7B mutation

Correct answer: 2. KF rings always present

Explanation: KF rings are not always present in Wilson’s disease.